A 70 year old male known case of a certain malignancy presents with elevated erythropoietin levels and PCV of 52%. Most likely tumour is -
1. Renal Cell Carcinoma
2. Medullary thyroid carcinoma
3. Gastric Carcinoma
4. Colorectal CA

Correct answer: 1. Renal Cell Carcinoma

Explanation: Ans. is 'a' i.e., Renal Cell Carcinoma Paraneoplastic syndromes in RCCParaneoplastic syndormesi) Fever of unknown originii) Anemiaiii) Erythrocytosis (d/t secretion of erythropoietin by RCC) (but anemia is a more common finding)iv) Hypertensionv) Abnormal liver function (Stauffers syndrome ie non metastatic hepatic dysfunction)vi) Hypercalcemiavii) Neuromyopathyviii) Amyloidosisix) Increased ESR (MC paraneoplastic syndrome)x) Dysfibrogenemiaxi) Galactorrhoeaxii) Feminization and masculanization